Contraindication for skin traction -a) Dermatitisb) Vascularity compromized status of limbc) Abrasionsd) Hypopigmentation (vitiligo)e) Bony deformity
1. ab
2. abc
3. acd
4. bcd

Correct answer: 2. abc

Explanation: Contraindications of skin traction 

Skin damage or sepsis in the area.
Deep vein thrombosis
Suspected vascular defecit
Anaesthetic limb (neurological deficit).
Force required is > 5 kg & for long duration due to changes of peeling off of skin.
In small abrasions it can be applied with proper padding but large abrasions are relative contraindications.